Which of the following antimalarial drugs is a slow acting schizonticide?
1. Artemether
2. Mefloquine
3. Pyrimethamine
4. Quinine

Correct answer: 3. Pyrimethamine